Cholera presents with symptoms mimicking:
1. Arsenic poisoning
2. Dhatura poisoning
3. Barbiturate poisoning
4. Morphine poisoning

Correct answer: 1. Arsenic poisoning

Explanation: Ans. Arsenic poisoning